Interventional study is used for:-
1. Hypothesis Formulation
2. Hypothesis Testing
3. Hypothesis Confirmation
4. Hypothesis Manipulation

Correct answer: 3. Hypothesis Confirmation

Explanation: CLASSIFICATION OF EPIDEMIOLOGICAL STUDIES: 1. OBSERVATIONAL STUDIES: - Descriptive studies - Hypothesis formation is done - Analytical studies - Hypothesis testing is done by cohort study/ case-control / cross-sectional/ Ecological studies. 2. EXPERIMENTAL/ INTERVENTIONAL STUDIES: - Hypothesis confirmation is done - Done by clinical trials/ RCT's / Field trials/ Community trials.